Crown completion of Maxillary 2nd premolar occur
1. At birth
2. 1 ½ year
3. 2 ½ to 3 year
4. 6-7 years

Correct answer: 4. 6-7 years